A 30 year old male is having attic cholesteatoma of left ear with lateral sinus thrombophlebitis. Which of the following would be the operation of choice?
1. Intact canal wall mastoidectomy
2. Canal wall down mastoidectomy
3. Mastoidectomy with cavity obliteration
4. Simple mastoidectomy with Tympanoplasty

Correct answer: 2. Canal wall down mastoidectomy

Explanation: Canal wall down mastoidectomy is done in cases of attic cholesteatoma. In this procedure mastoid cavity is left open into the external auditory canal. Since the patient in the question is suffering from attic cholesteatoma and secondary complications canal wall down mastoidectomy would be the treatment of choice. Other indications of this procedure includes extensive chronic otits media, formation of a new attic retraction pocket with disease following a previously performed canal wall up procedure, lateral semicircular canal fistula in the only hearing ear.